A 25-year-old woman with a history of systemic lupus erythematosus presents with diffuse petechiae and fatigue. Physical examination demonstrates lymphadenopathy and splenomegaly. Laboratory findings include normocytic anemia (hemoglobin = 6.1 g/dL) and thrombocytopenia (30,000/mL). A peripheral blood smear shows polychromasia with 10% reticulocytes. This patient most likely has which of the following hematologic diseases?
1. Anemia of chronic renal failure
2. Aplastic anemia
3. Hemolytic anemia
4. Iron deficiency anemia

Correct answer: 3. Hemolytic anemia

Explanation: - Given features suggests the diagnosis of Hemolytic anemia, idiopathic thrombocytopenic purpura - Hemolytic anemias are characterized by compensatory increase in production & release of red cells by bone marrow - It is manifested in blood by polychromasia of red cells & increased reticulocyte count. - Other options given presents with decreased reticulocyte count